Characteristic of Bacillus cereus food poisoning is-
1. Presence of fever
2. Presence of pain in abdomen
3. Absence of vomiting
4. Absence of diarrhoea

Correct answer: 2. Presence of pain in abdomen

Explanation: Fever is not a consistent feature of B. cereus food poisoning.
Abdominal cramps may be seen in both emetic and diarrheal type of B. cereus food poisoning.

Ref: Apurba Sastry’s Essentials of Medical Microbiology 1/e p255, Ananthanarayan 9/e p249